The tumour suppressor gene p53 induces cell arrest at
1. S - phase
2. S- G2 phase
3. G2 - M phase
4. G1 - S phase

Correct answer: 4. G1 - S phase

Explanation: . G1 aEUR" S phase